Date rape drug are all except ?
1. Propofol
2. Gamma hydroxyl butyrate
3. Ketamine
4. Rohypnol

Correct answer: 1. Propofol

Explanation: Ans. is 'a' i.e., Propofol Date Rape Drug Any drug (either surreptitiously or openly administered) that facilitates rape could be considered a date rape drug. The drug most commonly used to facilitate sexual assault is alcohol, consumed voluntarily. Newer date rape drugs are rohypnol and ketamine. Other drugs Hypnotics such as zopiclone or the widely available zolpidem (Ambien), Sedatives such as neuroleptics (anti-psychotics), chloral hydrate or some histamine H1 antagonists, Commonly recreational drugs such as ethanol, marijuana, cocaine, and Less common anticholinergics, barbiturates, opioids, PCP, scopolamine,nasal spray ingredient oxymetazoline,and certain solvents like Gamma-hydroxybutyrate.